Most common Thyroid CA post radiation exposure -
1. Papillary CA
2. Medullary CA
3. Follicular CA
4. None

Correct answer: 1. Papillary CA

Explanation: Ans. is 'a' i.e., Papillary CA o Radiation induced thyroid carcinoma is papillary carcinoma."Papillary carcinoma accountsfor 80% ofall thyroid malignancies in iodine sufficient areas and is the predominant thyroid cancer in children and individuals exposed to external radiation